The treatment of choice in renal cell carcinoma with the tumor of less than 4 cm in size is -
1. Partial nephrectomy
2. Radical nephrectomy
3. Radical nephrectomy + post operative radiotherapy
4. Radical nephrectomy + chemotherapy

Correct answer: 1. Partial nephrectomy